What serves as a precursor of testosterone?
1. Aldosterone
2. Estrone
3. Methyltestosterone
4. Pregnenolone

Correct answer: 4. Pregnenolone

Explanation: Cholestrol is first acted upon by desmolase and 6 carbon unit cleaved off,forming the 21 carbon steriod, pregnenolone It is common precursor for all steriod hormonesRef: DM Vasudevan, 7th edition, page no: 664, 665, 666